The absolute indications for dialysis include the following except -
1. Persistent Hyperkalaemia
2. Congestive cardiac failure
3. Pulmonary edema
4. Hyperphosphatemia

Correct answer: 4. Hyperphosphatemia

Explanation: Answer- D. HyperphosphatemiaPericarditis or pleuritis (urgent indication).Progressive uremic encephalopathy or neuropathyPersistent metabolic disturbancesFluid overload refractory to diuretics.Hypertension poorly responsive to antihypertensive medications.Persistent nausea and vomiting.